A 28 year old female comes to you with history of oligomenorrhea. On examination you note hirsutism and virilisation. USG showed that the left ovary is enlarged. The testosterone levels comes as 4 ng/ml. What is the MOST probable diagnosis? Note: The LH levels are normal.
1. PCOS
2. Stromal hyperthecosis
3. Luteoma of pregnancy
4. Ovarian tumor

Correct answer: 4. Ovarian tumor

Explanation: PCOS is associated with elevated LH and mildly elevated testosterone. In case of stromal hyperthecosis, though testosterone is elevated and LH is normal. Markedly elevated testosterone > 2 ng/ml is suggestive of tumor. Ref: Essentials of Gynaecology by Lakshmi Seshadri, Edition 1, page - 254.